Non - alcoholic steatohepatitis is caused by -a)  DMb)  Obesityc)  Wilson diseased)  Sarcoidosise) Triglyceridemia
1. abc
2. bcd
3. abe
4. acd

Correct answer: 3. abe